Converging point of both pathways in coagulation is at -
1. Factor VIII
2. Stuart factor X
3. Factor IX
4. Factor VII

Correct answer: 2. Stuart factor X